second arch artery persists for some part of fetal life as
1. Maxillary artery
2. Stapedial artery
3. Subclavian artery
4. None

Correct answer: 2. Stapedial artery

Explanation: In adult life, the first arch artery is represented by the Maxillary artery. The second arch artery persists for some part of fetal life as the stapedial artery. The greater part of first and second arch arteries disappears.